Which collagen produces sheets ?
1. I
2. II
3. IV
4. VI

Correct answer: 3. IV

Explanation: Ans. is 'c' i.e., IV Various structure produced by collagensFibrilsSheetsBeaded filamentsAnchoring fibrilsCollagen ICollagen IVCollagen VICollagen VIICollagen IICollagen VIII Collagen IIICollagen X Collagen VCollagen XI